All of the following are considered in differential diagnosis of a pericoronal radiolucency except
1. Odontome
2. Ameloblastic fibro-odontome
3. Percipical osteitis
4. AOT

Correct answer: 3. Percipical osteitis